A young female patient came for routine examination. On examination a mid systolic click was found. There is no history of rheumatic heart disease. The histopathological examination is most likely to show which of the following?
1. Myxomatous degeneration and prolapse of the mitral valve
2. Fibrinous deposition on the tip of papillary muscle
3. Rupture of chordae tendinae
4. Aschoff nodule on the mitral valve

Correct answer: 1. Myxomatous degeneration and prolapse of the mitral valve

Explanation: The important clues given in the question; Female patient Presenting for Routine examination (means she was asymptomatic) Presence of mid systolic click on physical examination Absence of history of rheumatic heart disease All these are significant pointers towards a diagnosis of mitral valve prolapse or Barlow syndrome. The other name of the same condition is Myxomatous degeneration of the mitral valve. Most patients with mitral valve prolapse are asymptomatic, and the condition is discovered only on routine examination by the presence of a midsystolic click as an incidental finding on physical examination'